Which is the major collagen present in cartilage?
1. Type I
2. Type II
3. Type III
4. Type IV

Correct answer: 2. Type II

Explanation: Type II Collagen is the major collagen in cartilage.
Type I is the major collagen in Bone, Dermis, ligaments and tendons.